Alkalinity of urine is done in -
1. Barbiturate poisoning
2. Lithium toxicity
3. Alprazolam overdose
4. Diazepam toxicity

Correct answer: 1. Barbiturate poisoning

Explanation: Ans. is 'a' i.e., Barbiturate poisoning Alkanization of urine o Acidic drugs are more ionized (lipid insoluble / polar / water soluble) at alkaline pH. So, they cannot be absorbed from tubular lumen, i.e. their excretion by kidney is enhanced by alkanization of urine. Such acidic drugs are Barbiturates and Salicylate. o Alkanization of urine is done by i.v. infusion of sodium bicarbonate.